Two pulp canals are usually found in
1. Mesial root of permanent mandibular first molar
2. Distal root of permanent mandibular first molar
3. Palatal root of permanent maxillary first molar
4. Distal root of permanent mandibular second molar

Correct answer: 1. Mesial root of permanent mandibular first molar